Presently surgical treatment of choise in a 22 year male with - 10D myopia is
1. Phakic refractive lens
2. Refractive lens exchange
3. Wavefront guided LASIK
4. LASIK with femtosecond laser

Correct answer: 1. Phakic refractive lens

Explanation: Ans. Phakic refractive lens